Stenosis of aqueduct of sylvius results in?
1. Enlargement of lateral ventricles
2. Enlargement of fourth ventricles
3. Enlargement of lateral and third ventricles
4. Enlargement of lateral and fourth ventricles

Correct answer: 3. Enlargement of lateral and third ventricles

Explanation: Aqueduct of sylvius connects 3rd ventricle to the 4th one. Obstruction to Aqueduct of sylvius Enlargement of 3rd ventricle Dilatation of the ventricle proximal to the obstruction(3rd ventricle)